"Lacerated" wound has:
1. Clean cut borders
2. Regular margin
3. Irregular margin
4. Tapered margin

Correct answer: 3. Irregular margin

Explanation: Irregular margin